A known case of Lepromatous Leprosy was initiated on treatment.He developed new painful,erythematous papules over the body along with fever and lymphadenopathy. What is the likely diagnosis?
1. Type I lepra reaction
2. Type II lepra reaction
3. Fernandez reaction
4. Mitsuda response

Correct answer: 2. Type II lepra reaction

Explanation: Fever,Lymphadenopathy appearance of new skin lesions are suggestive of Type II Lepra reaction (or down grading reaction) which is caused by Type III hypersensitivity.